Complications of benign ovarian tumors are ail except :
1. Torsion
2. Bleeding
3. Pseudomyxoma
4. Metastasis

Correct answer: 4. Metastasis

Explanation: Metastasis